Left ovarian vein drains into
1. Left renal vein
2. Internal iliac vein
3. Inferior vena cava
4. Azygos vein

Correct answer: 1. Left renal vein

Explanation: Ovarian veins crosses the ureter anteromedially halfway between bifurcation of the IVC and the point in which it joins the anterolateral inferior vena cava (IVC). The left ovarian vein ascends similarly into the abdomen but drains into the left renal vein. ref - BDC 6e vol2 pg384